Punishment for voluntary causing Grevious hurt comes under -
1. S. 322 IPC
2. S. 323 IPC
3. S. 324 IPC
4. S. 325 IPC

Correct answer: 4. S. 325 IPC

Explanation: The synopsis of forensic medicine & toxicology;Dr k.s narayan reddy; 28th edition; pg.no.155; Punishment for voluntarily causing grievous hurt comes under S.325,I.P.C-imprisonment up to 7 years & also fine.